If a tooth has abnormal mobility, but is not displaced from the socket it is termed as:
1. Concussion
2. Subluxation
3. Extrusive luxation
4. Partial avulsion

Correct answer: 2. Subluxation

Explanation: Subluxation

Teeth are sensitive to percussion and have some mobility.
Sulcular bleeding is seen showing damage and rupture of the periodontal ligament fibers.
Pulp responds normal to testing.
Tooth is not displaced.